Bleeding ear discharge is mostly due -
1. Glomus tumour
2. Otosclerosis
3. Otitis media with effusion
4. Acoustic neuroma

Correct answer: 1. Glomus tumour

Explanation: Ans. is 'a' i.e., Glomus tumour Differential diagnosis of blood stained ear discharge :* ASOM* Acute mastoiditis* CSOM* Aural polyp* Granulations* Glomus tumor